Hyperpyrexia?
1. 31.5 deg. C or 96.7 deg.F
2. 37 deg. C or 98 deg. F
3. 38 deg. C or 100 deg F
4. 41.5 deg. C or 106.7 deg f

Correct answer: 4. 41.5 deg. C or 106.7 deg f